Which of the following statements about small cell carcinoma of lung is true?
1. Peripheral in location
2. Chemosensitive tumor
3. Bone metastasis is uncommon
4. Paraneoplastic syndrome with fPTH is common

Correct answer: 2. Chemosensitive tumor

Explanation: Small cell lung carcinoma (SCLC) accounts for 20% of primary lung cancers. It is a highly chemosensitive tumor and is primarily treated with chemotherapy and radiation regardless of the stage of presentation. Surgery is indicated for a patient with an incidentally discovered peripheral nodule that is found to be SCLC. Ref: Schwartz's Principles of Surgery, 9th Edition, Chapter 19